Inferior rib notching is seen in all except
1. Aortic thrombosis
2. Taussing Blalock operation
3. Pulmonary atresia
4. Marfan's syndrome

Correct answer: 4. Marfan's syndrome

Explanation: Superior rib notching is seen in Marfan's syndrome.